Most common site for the congenital diaphragmatic hernia of Morgagni is:
1. Left Anterior
2. Right posterior
3. Right Anterior
4. Left posterior

Correct answer: 3. Right Anterior

Explanation: Morgagni hernia is a congenital diaphragmatic hernia that occurs through the foramen of morgagni. It is an anterior retrosternal hernia which is more common on the right side.Ref: Human Anatomy, B D Chaurasia, 4th Edition, Volume 2, Chapter 26, Page 312.